A 28 year old man involved in a bomb blast explosion. Which of the following is not true?
1. Injuries due to burns or air blast
2. Force of explosion decrease rapidly
3. Force of explosion is directional
4. Abrasion, bruise and fracture are triad of explosion

Correct answer: 4. Abrasion, bruise and fracture are triad of explosion

Explanation: Ans. (D). Abrasion, bruise & fracture are triad of explosionIn bomb blast injury, secondary blast injuries are due to flying projectiles.It causes a triad of abrasion, contusion & laceration on the exposed parts (Marshal's triad)